Transtubercular plane lies at which vertebral level
1. L1
2. L3
3. L5
4. S3

Correct answer: 3. L5

Explanation: Intertubercular plane (or transtubercular), corresponds to the line passing through the iliac tubercles; behind, this plane cuts the body of the fifth lumbar vertebra. B D CHAURASIAS Human anatomy sixth edition Volume 3